Child knows his/her sex by age of-
1. 2 year
2. 3 year
3. 4 year
4. 5 year

Correct answer: 2. 3 year

Explanation: Ans, is 'b' i.e., 3 year AgeMilestone2 MonthSocial smile3 MonthRecognise mother6 MonthStmger anxiety9 Monthwave bye - bye12 MonthComes when called15 MonthJargon18 MonthsCopies parents task2 yearAsk for food, drink, shows toys3 yearKnow full name & gender4 yearPlays in group.5 yearHelps in household task, decrease & undresses